Which of the following is not seen in Parkinsonism:
1. Preserved postural reflexes
2. Hypokinesia
3. Rigidity
4. Static tremors

Correct answer: 1. Preserved postural reflexes

Explanation: Answer is A (Preserved postural reflexes): In Parkinsonism, the postural reflexes are not preserved. There is difficulty in maintaining balance. The posture is stooped, and the attitude is flexed.